According to Lecompte (1987), the following are  the  recommendations  for topical application  of  high  potency  fluoride products EXCEPT-
1. No  more than 2 g of gel per tray or approximately  40%  of tray capacity should  be  dispensed.
2. The use of a saliva ejector  during  the  procedure  is recommended.
3. Following  the procedure, the  patient  should  be instructed not to expectorate.
4. When utilizing custom individually fitted trays, utilize only 5-10 drops of products per tray.

Correct answer: 3. Following  the procedure, the  patient  should  be instructed not to expectorate.

Explanation: According to Lecompte (1987), the following are  the  recommendations  for topical application  of  high  potency  fluoride products: 
1. No  more than 2 g of gel per tray or approximately  40  %  of tray capacity should  be  dispensed.  Even  more conservative  amounts  should  be considered for small children. 
2. Because patient may have the need to swallow  during  a  4  minute  topical application procedure, the use of a saliva ejector  during  the  procedure  is recommended. 
3. Following  the  4  minutes  application procedure, the  patient  should  be instructed to expectorate thoroughly for from 30 sec to one minute, regardless of whether high speed  suction is utilized or not. Expectoration is probably the single most effective way  of reducing orally retained fluoride. 
4. When utilizing custom individually fitted trays for patients requiring daily or weekly application  of  a  high  fluoride concentration product, utilize only 5-10 drops of products per tray.